Which one is not the bad prognostic sign for pancreatitis?
1. TLC>16,000/mm3
2. Calcium<8 mmoI/dL
3. BUN Elevation > 5mg/dL
4. Base deficit < 4 mEq/L

Correct answer: 4. Base deficit < 4 mEq/L

Explanation: RANSON'S Prognostic Criteria (for Non-Gall Stone Induced Pancreatitis) At the Time of Admission After 48 Hours Age > 55 years Fall in Hematocrit > 10 points WBC count > 16,000/mm3 BUN Elevation > 5mg/dL RBS > 200 mg/dl S. Ca2+ < 8 mg/dL LDH > 350 IU/L Base deficit > 4 mEq/L AST > 250 U/L Arterial PO2< 60 mm Hg Fluid Sequestration > 6 L. Out of 11 if >3 present - "Severe Acute Pancreatitis" Minimum time for complete Evaluation - 48 hrs